Which one of the following types of stomach cancers carries the best prognosis -
1. Superficial spreading
2. Ulcerative types
3. Linitis plastica type
4. Polypoidal type

Correct answer: 1. Superficial spreading